Malignant potentilal is least with which of the following gastrointestinal neuroendocrine tumor:
1. Insulinoma
2. Glucagonoma
3. VIPoma
4. Somatostatinoma

Correct answer: 1. Insulinoma

Explanation: Malignant potentilal of the gastrointestinal neuroendocrine tumors.Insulinoma Glucagonoma 50-80 %Somatostatinoma >70 %VIPoma 40-70 %Ref: Harrisons principles of internal medicine, 18th edition, Page: 3056.